All are true about vagus nerve except
1. Supplies heart & lung
2. Carries post ganglionic para sympathetic fibres
3. innervates right 2/3rd of transverse colon
4. Stimulates peristalsis & relaxes sphincters

Correct answer: 2. Carries post ganglionic para sympathetic fibres

Explanation: Vagus nerve carries Pre-ganglionic Parasympathetic fibres - Longest cranial nerve with widest distribution in body - Supplies head & neck - supplies pharyngeal arches 4 & 6 by it's branches. -Thorax (heart & lung)- bradycardia , bronchoconstriction - Abdomen - Bladder & bowel evacuation -Supplies till 2/3rd of transverse colon incluiding vermiform appendix